A 20 years old nulliparous women is an oral contraceptives pills. She is currently diagnosed as having pulmonary tuberculosis which anti-tuberculous drug decreases the effect of OCP.
1. INH
2. Pyrazinamide
3. Ethambutol
4. Rifampicin

Correct answer: 4. Rifampicin

Explanation: Rifampicin is known to be an hepatic enzyme inducer hence is not used in conjunction with ocps. Other inducer agents are long term alcohol abuse. rifampicin. anticonvulsants, particularly phenytoin,carbamazepine,phenobarbitone and primidone. spironolactone. griseofulvin